In malignant lesion in pyriform fossa pain is referred to ear via
1. Glossopharyngeal nerve
2. Vagus nerve
3. Brachial plexus
4. None of the above

Correct answer: 2. Vagus nerve